All are true about randomized control trial except?
1. Baseline characteristics of intervention and control groups must be similar
2. Investigator bias can be minimized by double blinding
3. The sample size depends on the hypothesis tested
4. Drop outs should be excluded from the analysis

Correct answer: 4. Drop outs should be excluded from the analysis

Explanation: Based on Intention to Treat analysis, the drop outs should also be included in the analysis to prevent an error in the result Ref : Park's Textbook of Preventive medicine